Which of the following is not an indication for a class II
activator:
1. Mandibular retrusion
2. Horizontal/anterior type of mandibular growth
3. Crowding lower anteriors
4. Upright lower anteriors

Correct answer: 3. Crowding lower anteriors

Explanation: Class-II and III malocclusions, class-I open bite and deep bite malocclusions, children with lack of vertical development in lower facial height, and upright mandibular incisors are indications of activators.
Activators may produce moderate mandibular rotation (anteriorly down words), so they are contraindicated in vertical growers.